Absolute contraindication of hormone replacement therapy is :
1. Thrombosis
2. Fibroadenocytic disease
3. Fibroadenoma
4. Hemorrhage

Correct answer: 1. Thrombosis

Explanation: Ans. is 'a' Thrombosis